Lamina cribrosa is absent in -
1. Morning glory syndrome
2. Nanophthalmia
3. Colobama of retina
4. Optic nerve agenesis

Correct answer: 1. Morning glory syndrome

Explanation: The nerve fibers forming the optic nerve exit the eye posteriorly through a hole in the sclera that is occupied by a mesh-like structure called the lamina cribrosa. It is formed by a multilayered network of collagen fibers that insert into the scleral canal wall. It is absent in morning glory syndrome. Ref khurana 6/e